Concentric hypertrophy of heart is seen in ?
1. Mitral stenosis
2. Mitral regurgitation
3. Hypertension
4. Aortic regurgitation

Correct answer: 3. Hypertension

Explanation: Ans. is 'c' i.e., Hypertension